Functional residual capacity represents the volume of air remaining in lungs
1. After forceful expiration
2. After forceful inspiration
3. After normal inspiration
4. After normal expiration

Correct answer: 4. After normal expiration

Explanation: Functional residual capacity * Functional residual capacity is the volume of air remaining in the lungs after expiration of a normal breath * Normal value - 2.5 L * (Residual volume + Expiratory reserve volume) Ref:- Ganong's Review of Medical Physiology 25th ed; pg num:- 629